Which of the following nerve arise from the lateral cord of the brachial plexus?
1. Ulnar nerve
2. Musculocutaneous nerve
3. Medial root of median nerve
4. Medial cutaneous nerve of arm

Correct answer: 2. Musculocutaneous nerve

Explanation: Musculocutaneous nerve arise from the lateral cord of the brachial plexus. Other nerves arising from the lateral cord are lateral root of median nerve and lateral pectoral nerve. Branches of the medial cord of the brachial plexus are:Medial root of median nerveMedial pectoralMedial cutaneous nerve of forearmMedial cutaneous nerve of armUlnar nerveBranches of the posterior cord are:Upper subscapularLower subscapularThoracodorsalAxillary nerveRadial nerveRef: Clinical Anatomy: (a Problem Solving Approach) By Kulkarni page 99